If one wants to compare variation in two variables,which unit of measurement should be used
1. Standard deviation
2. Percentile
3. Variance
4. Coefficient of variance

Correct answer: 4. Coefficient of variance

Explanation: Ref:Park's Textbook of Preventive and Social Medicine 25th Ed